The following morphologic changes is most consistent with allergic, rather than irritant, contact dermatitis
1. Lymphocytic exocytosis
2. Papillary dermal edema
3. Eosinophilic infiltration
4. Spongiosis

Correct answer: 3. Eosinophilic infiltration

Explanation: Allergic form results from prior sensitization to specific allergens and  is accompanied by prominent eosinophilia, Spongiosis is common to  both allergic and non-allergic contact dermatitis.